Gallstones do not contain:
1. Oxalate
2. Cholesterol
3. Phosphate
4. Carbonate

Correct answer: 1. Oxalate

Explanation: Gallstones In the USA and Europe, 80% are cholesterol or mixed stones, whereas in Asia, 80% are pigment stones Cholesterol or mixed stones - 51-99% pure cholesterol Pigment stone contains <30% cholesterol Black stones - Insoluble bilirubin polymer + calcium phosphate + calcium bicarbonate Brown pigment stones- calcium bilirubinate+ calcium palmitate + calcium stearate+ cholesterol